Commonest causative organism for acute tonsillitis is which of the following?
1. B streptococci
2. Parainfluenza virus
3. H influenza
4. Corynebacterium

Correct answer: 1. B streptococci

Explanation: Parainfluenza virus causes tracheobronchitis and H influenza cause acute epiglottitis.